Which of the following is the infective form for mosquito in Plasmodium falciparum?
1. Merozoites
2. Sporozoites
3. Gametocytes
4. Trophozoites

Correct answer: 3. Gametocytes

Explanation: The life cycle of malaria parasite comprises of 2 stages an asexual pha se occurring in humans and the sexual phase occurring in mosquito. In asexual phase the parasite multiplies by division called schizogony. In humans schizogony occurs in 2 locations - in red cells (erythrocytic schizogony) and in liver cells (exoerythrocytic schizogony). Products of schizogony is merozoites. After few cycles of erythrocytic schizogony some merozoites develops to form gametocytes. In mosquito phase Anopheles mosquito ingest the parasitised RBC along with blood meal, microgamates and macrogamate develops which undergo fertilisation and forms ookinete. It penetrates the epithelial lining of the mosquito stomach walls and lies beneath its basement membrane. It becomes rounded into a sphere with an elastic membrane. This is oocyst. Oocyst undergoes sporogony and forms sporozoites which recharge the salivary gland of the mosquito. The mosquito is now infective. Infective stage of Plasmodium for mosquito is Gametocytes. Infective stage of Plasmodium for man is Sporozoite. Ref: CK Jayaram Paniker textbook of parasitology Ed 5 pg - 61-69..